In high spinal anaesthesia what is seen -
1. Hypotension & Bradycardia
2. Hypotension & Tachycardia
3. Hypertension & Bradycardia
4. Hypertension & Tachycardia

Correct answer: 1. Hypotension & Bradycardia

Explanation: High spinal anaesthesia involving T4 thoracic segment blocks sympathetic autonomic fibres for heart resulting in vagal dominance. Hence, hypotension and bradycardia occur.